A child can make a 3 cube tower at the age of :
1. 36 months
2. 15 months
3. 20 months
4. 24 months

Correct answer: 2. 15 months

Explanation: 15 months
Motor: Walks alone; crawls upstairs.
Adaptive:Makes tower of 3 cubes; makes a line with crayon; inserts raisin in bottle.
Language; Jargon; follows simple commands; may name a familiar object (e.g. ball).
Social: Indicates some desires or needs by pointing; hugs parents.